Type of study in risk factor associated with multiple diseases ?
1. Cohort study
2. Case control study
3. Ecological study
4. Clinical trial

Correct answer: 1. Cohort study

Explanation: Ans. is 'a' i.e., Cohort study In case control study we proceed from effect to cause by taking history. It is possible to take history of exposure of multiple risk factors - multiple risk factors can be identified for a single disease. In cohort study we start by exposing the study cohort to a particular risk factor and then follow up the cohort for the occurence of disease. So, several possible outcomes related to exposure can be studied simultaneously - we can study the association of the suspected factor with many other disease in addition to the one under study. Case control study - can identify multiple risk factors. Cohort study - can identify multiple outcome (disease).